A 33-year-old patient is suffering from a sudden occlusion at the origin of the descending (thoracic) aorta. This condition would most likely decrease blood flow in which of the following intercostal arteries?
1. Upper six anterior
2. All of the posterior
3. Upper two posterior
4. Lower six posterior

Correct answer: 4. Lower six posterior

Explanation: The first two posterior intercostal arteries are branches of the highest (superior) intercostal artery of the costocervical trunk; the remaining nine branches are from the thoracic aorta. The internal thoracic artery gives off the upper six anterior intercostal arteries and is divided into the superior epigastric and musculophrenic arteries, which gives off anterior intercostal arteries in the 7th, 8th, and 9th intercostal spaces and ends in the 10th intercostal space where it anastomoses with the deep circumflex iliac artery. So answer to this question is Lower six posterior because they are arising from lower aorta directly.